Amyloid protein seen in dialysis patients?
1. AA
2. AL
3. Beta - 2-microglobulin
4. ATTR

Correct answer: 3. Beta - 2-microglobulin

Explanation: Ans. is 'c' i.e., Beta-2-microglobulin Important Systemic amyloidosisAmyloid proteinPrecursorSyndrome or involved tissueALImmunoglobulin light chainPrimary Myeloma associatedAASerum AA(SAA)Reactive, chronic inflammatory conditionAb2mb2 microglobulinHemodialysisAASAAFamilial Mediterranean feverATTRTransthyretinFamilial amyloidotic polyneuropathiesATTRTransthyretinSystemic senile Amyloidosis